Radical cure of Plasmodium vivax is by :
1. Chloroquine
2. Tetracycline
3. Primaquine
4. Artesunate

Correct answer: 3. Primaquine